Conduct disorder in a child manifests with -a) Disregard for right of othersb) Doesn't care for authorityc) Backward in studiesd) Decreased head circumferencee) Steals things
1. bcde
2. abcd
3. abce
4. abde

Correct answer: 3. abce

Explanation: Conduct disorder is characterized by a persistent and significant pattern of conduct in which the basic rights of others are violated or rules of society are not followed (Doesn't care for authority). The characteristic clinical features are frequent lying, stealing or robbery, Physical violence (rape, assault, fire setting, use of weapons, fighting), running away from school (backward in studies), cruelty to animals and people.